Pigmentary glaucoma–findings seen is –
1. Fevy line
2. Flesscher's line
3. Hadson hauti line
4. Krukenberg's spindles

Correct answer: 4. Krukenberg's spindles